The most common primary tumor of mediastinum
1. Lymphoma
2. Teratoma
3. Neurogenic tumor
4. Thymoma

Correct answer: 3. Neurogenic tumor